IPD records of patients are preserved for how many years ?
1. 1 year
2. 3 years
3. 5 years
4. 7 years

Correct answer: 2. 3 years

Explanation: Ans. is 'b' i.e., 3 years Medical Council recommends that the medical records of the indoor patient to be aintained for atleast a period of 3 years from the date of commencement of treatment.